Which of the following parameter signifies the effective drug removal from the body
1. Clearance
2. Bioavailabilit
3. Safety
4. Volume of distrubtion

Correct answer: 1. Clearance

Explanation: Ref-KDT 70e/30 Clearance of the drug is the theoretical volume of Plasma from which drug is removed from the body in unit time